Cough is an adverse reaction seen with intake of
1. Thiazide
2. Nifedipine
3. Enalapril
4. Prazosin

Correct answer: 3. Enalapril

Explanation: Refer kDT 6/e p984 ACE inhibitor cause adverse reaction like cough. The CAPTOPRIL mnemonic can be used to remember the side effects of ACE inhibitors: cough, angioedema, potassium changes, taste change, hyp-O-tension, pregnancy changes, rash, increased renin, and lower angiotensin II. Another side effect is hyperkalemia.